Tongue muscle which is not developed from occipital myotome ?
1. Styloglossus
2. Hyoglossus
3. Genioglossus
4. Palatoglossus

Correct answer: 4. Palatoglossus

Explanation: DEVELOPMENT OF THE TONGUE :? I. Epithelium a) Ant 2/3 -- lingual swellings of 1st arch and tuberculum impar b) Post 1/3 -- large dorsal part of hypobranchial eminence, Le. 3rd arch c) Posterior most part -- small dorsal part of the hypobranchial eminence, i.e. 4th arch II. Muscles From occipital myotomes except palatoglossus which is derived from the 6th arch.